A verbal statement recorded by magistrate without oath by an assaulted person narrating the sequence of events responsible for his condition, is called as ?
1. Summon
2. Punchnama
3. Dying deposition
4. Dying declaration

Correct answer: 4. Dying declaration

Explanation: Ans. is 'd' i.e.,Dying declaration